In radiography regarding scattered radiation, which of the following is true?
1. Improves image contrast
2. Improves image resolution
3. Reduces image contrast
4. Reduces patient radiation dose

Correct answer: 3. Reduces image contrast

Explanation: Scattered radiation is one of the factor that reduces contrast in the image. Grid is used to prevent scatter radiation from forming the image. Scatter Radiation is due to Compton effect. The closer the patient is to the film, the greater the concentration of scatter per unit area. With an air gap, the scatter concentration decreases because more scattered photons miss the film .